Which is the investigation to know the functionality of the gallbladder
1. MRCP
2. PTC
3. HIDA scan
4. EUS scan

Correct answer: 3. HIDA scan

Explanation: Hida scan is used to see function